In osteoporosis, bone formation is increased by which drug
1. Bisphosphonates
2. Estrogen
3. Calcitonin
4. Teriparatide

Correct answer: 4. Teriparatide

Explanation: Drug used in osteoporosisInhibit resorption: Bisphosphonates, denosumab, cinacalcet, calcitonin, estrogen, SERMS, gallium nitrateStimulate formation: teriparatide, calcium, calcitriol, fluoridesBoth actions: Strontium renelate(Refer: Mohindra's Fundamentals of Orthopedics, 2nd edition, pg no. 400 - 412)